Beevor sign is seen in -
1. Abdominal muscle
2. Respiratory muscle
3. Facial muscle
4. Hand muscle

Correct answer: 1. Abdominal muscle

Explanation: Ans. is 'a' i.e., Abdominal muscle Beevor's SignMovement of the umbilicus towards the head on flexing the neck. It is caused by weakness of the lower abdominal muscles.PhysiologyBeevor's sign is characteristic of spinal cord injury b/w T6-T10 levels.This occurs because the upper abdominal muscles such as rectus abdominis are intact at the top of the abdomen but weak at the lower portion.Thus when the patient is asked to do a sit up only the upper muscles contract pulling the umbilicus towards the head in patients who are abnormal.It has also been described in amyotrophic lateral sclerosis and Facioscapulohumeral muscular dystrophy.